Irreversible injury in cell is
1. Deposition of ca ++ in mitochondria
2. Swelling
3. Mitotic figure
4. Ribosomal detachment

Correct answer: 1. Deposition of ca ++ in mitochondria

Explanation: Ref, Robbins 8/e p13-14;7/ep11,9/ep47